Modern monitors to measure ETCO2 make Use of-
1. Infrared absorption spectroscopy
2. Ultra violet rays
3. Laser technology
4. Scatter technology

Correct answer: 1. Infrared absorption spectroscopy

Explanation: Capnograpghy works on the priniciple of absorption spectrophotometry(CO2 absorbs infrared rays at a wavelength of 4280 nm)